Raji cell assay are used to quantitate-
1. Complement levels
2. Immune complexes
3. T- cells
4. IFN levels

Correct answer: 2. Immune complexes

Explanation: A sensitivie and simple procedure for the detection and quantitation of soluble complement (C)- fixing immune complexes in sera of patients with various disease states has been developed by utilizing C receptors on Raji cells. These cells lack membrane-bound immunoglobulin but have receptors for IgG Fc, C3b, C3d, and possibly with other C proteins. Uptake experiments showed that both aggregated human gamma globulin (AHG) and 7S IgG bound to receptors for IgG Fc; however, AHG reacted with C bound to cells only receptors for C and this binding was much more efficient than IgG Fc receptors. published in journal of clinical investigations. >.